In which of the following conditions water soluble contrast media is used
1. Constipation
2. Perforation
3. Ileocecal tuberculosis
4. GERD

Correct answer: 2. Perforation

Explanation: (Ref: Grainger and Allison's diagnostic radiology 6th edition, chapter 25)